The most significant effect of ACE inhibition is
1. Hypotention
2. Hypertension
3. Hypocalcemia
4. Hypercalcemia

Correct answer: 1. Hypotention

Explanation: Refer kDT 6/e p 484 Short acting ACE inhibitors like captopril main result in postural hypotension.ACE Inhibitors do not affect serum calcium level